5 year old child with Alert liver failure Which one of the following criteria are not included in the king's college criteria
1. Age 1o years
2. INR >6.5
3. Bilirubin >17mg /dL
4. Jaundice less than 7 days before development of encephalopathy

Correct answer: 4. Jaundice less than 7 days before development of encephalopathy

Explanation: ref : bailey and love 27th ed